Mulberry molar is associated with:
1. Initiation.
2. Histodifferentiation.
3. Morpho differentiation.
4. Apposition.

Correct answer: 3. Morpho differentiation.